Origin of sympathetic fibres-
1. Cranial
2. Sacral
3. Dorsolumbar
4. None

Correct answer: 3. Dorsolumbar